Which of these does not cause crescentric glomerulonephritis -
1. Rapidly progressive glomerulonephritis
2. Alport syndrome
3. Goodpasture syndrome
4. Henoch schonlein purpura

Correct answer: 2. Alport syndrome